“When canines can’t be used, lateral movements have posterior disocclusion guided by anterior teeth on the working side, instead of canine alone”, The observation is given by (The concept of anterior group function was by)
1. Stuart
2. Stallard
3. Dawson
4. D’Amico

Correct answer: 3. Dawson

Explanation: The statement was given by Dawson in 1974. He called this Anterior group function.